Investigation of choice to differentiate pericardial effusion and dilatation of heart:
1. Echocardiography
2. Angio cardiography
3. MR!
4. CT

Correct answer: 1. Echocardiography

Explanation: Ans. Echocardiography